Maximum benefit from ECT is seen in
1. Hysteria
2. Depression with suicidal tendency
3. Chronic schizophrenia
4. Mania

Correct answer: 2. Depression with suicidal tendency

Explanation: Lucio Bini and Ugo Cerletti *introduced ECT in 1938 for the treatment of psychiatric illness Indications for the Use of Electroconvulsive Therapy (ECT) Diagnostic Indications Clinical indications Major a)Major depression, both unipolar and bipolarb)Psychotic depression in paicularMania, including mixed episodesc)Schizophrenia with acute exacerbation d)Catatonic subtype particularly Schizoaffective disorder Primary use Rapid definitive response required Risks of alternative treatments outweigh benefitsPast h/o poor response to drugs/good response to ECTPatient preference Other Secondary use a)Parkinson's disease b)Neuroleptic malignant disorder Failure to respond to pharmacotherapy in the current episodeIntolerance of pharmacotherapy in the current episodeRapid definitive response necessitated by deterioration of the patient's condition this is one of the repeated questions in psychiatry you always have to carefully read all the choices if the choice has depression with suicidal ideas , that is the answer if depression with suicidalideas is not given in the choice , then search for catatonia if catatonia is also not in the choice then go for treatment resistant schizophrenia and mania in PGI queestion paper where there are multiple answers for a single question, you can select all these choices namely depression with suicidal ideas catatonia treatment resistant mania and schizophrenia Ref: P.3290 chap. 31.34a Electroconvulsive Therapy